Sensations which are appreciated in thalamus -
1. Proprioception
2. Pain & temperature
3. Tactile sensations
4. Pressure

Correct answer: 2. Pain & temperature

Explanation: Ans. is "b1 i.e.. Pain & temperatureo Pain and temperature are primarily appreciated by the thalamus.o For other forms of sensation, the thalamus is unable to analyze the details of sensations.o Fibers carrying tactile and proprioceptive information ascend through the thalamocortical pathway to area 3 of primary somatic sensory cortex through the thalamic radiation,o Therefore, if the somatosensory cortex is removed, tactile sensations and proprioceptions are lost, but pain and temperature sensations persist.